Succinyl CoA is formed by
1. Valine
2. Isoleucin
3. Methionine
4. All of the above

Correct answer: 4. All of the above

Explanation: Valine,isoleucine and methionine are influx of TCA cycle intermediate propionyl CoA which is converted to succinyl CoA.Ref: DM Vasudevan - Textbook of Biochemistry, 7th edition, page no: 253, fig 19.9